Which is a heme protein ?
1. Hemoglobin
2. Catalase
3. Cytochrome
4. All of the above

Correct answer: 4. All of the above

Explanation: Ans. is 'd' i.e., All of the above Hemoproteins are proteins which have heme as prosthetic group. Important hemoproteins are hemoglobin, myoglobin, cytochromes (cytochrome C, cytochrome P450),catalase, peroxidase, tryptophan pyrrolase and nitric oxide synthase.